Punched out lesion in the skull is indicative of:
1. Ewings sarcoma
2. Multiple myeloma
3. Metastasis
4. Osteosarcoma

Correct answer: 2. Multiple myeloma

Explanation: Ans. B: Multiple Myeloma